Main support of the uterus is formed by:
1. Mackendrot's ligament
2. Broad ligament
3. Fallopian tubes
4. Round ligament

Correct answer: 1. Mackendrot's ligament

Explanation: Ref: Slum 's Textbook of Gynaecology 15th Edition Pg 18.Explanation:Supports of uterus are triradiate condensation of endo pelvic fascia:Anterior spoke - Pubocervical ligamentEateral spoke - Mackenrodt ligamentPosterior spoke - Uterosacral ligamentSUPPORTS OF THE GENITAL TRACTDeLancey's three level systems of support* Level 1- Uterosacral and cardinal ligaments support the uterus and vaginal vault.* Level II- Pelvic fascias and paracolpos which connects the vagina to the white line on the lateral pelvic wall through arcus tendmous.* Level III- Levator ani muscle supports the lower one- third of vagina